Which of the following statements is true of hereditary spherocytosis (HS)?
1. Pigment-type of gall stones are common
2. Diagnosis can be made in neonatal period easily by examination of a blood film
3. Intravascular hemolysis is a common feature
4. Autosomal recessive inheritance in majority of the cases

Correct answer: 1. Pigment-type of gall stones are common

Explanation: Discussing the options about HS - a. TRUE D/t chronic hemolysis, pigmented stones are formed in gall bladder. b. FALSE In newborns, Spherocytosis & reticulocytosis are frequently minimal or absent c FALSE Hemolysis in hereditary spherocytosis is mainly extravascular d. FALSE 75% cases of HS have autosomal dominant inheritance Anisocytosis and several hyperchromic spherocytes are seen. Howell-Jolly bodies can be seen.